Which of the following has the least 5 year survival rate following allogenic bone marrow transplantation?
1. Severe Combined Immunodeficiency state
2. Aplastic Anemia
3. Blast crisis in CML
4. Chronic lymphocytic leukaemia

Correct answer: 3. Blast crisis in CML

Explanation: Blast crisis in CML has the least 5 year survival rate following allogenic bone marrow transplantation. 5 year Survival rate after bone marrow transplantation: A.M.L 40-60% A.L.L 40-50% C.M.L Chronic phase 70% C.M.L Blast crisis 15% C.L.L 50% N.H.L 40% SCID, Aplastic Anaemia, Thalassemia 90%